Which of the following is used for the prevention of Pneumocystis jiroveci infection in HIV positive patients?
1. Azithromycin
2. Acyclovir
3. Levofloxacin
4. Sulfamethoxazole + trimethoprim

Correct answer: 4. Sulfamethoxazole + trimethoprim

Explanation: Prophylaxis with trimethoprim-sulfamethoxazole (TMP-SMZ) prevents- infection with P.Jiroveci, Toxoplasma gondii. Intolerance of TMP-SMZ is common Alternative agents provide less adequate protection against Pneumocystis species.